Clonidine is indicated in each of the following conditions except
1. Cardiac arrhythmias
2. Morphine withdrawal
3. Migraine
4. Hypertension

Correct answer: 1. Cardiac arrhythmias

Explanation: Uses of Clonidine As an antihypertensive drug Treatment of neuropathic pain, opioid detoxification, sleep hyperhidrosis, and as a veterinary anesthetic drug. Used in the treatment of Tourette syndrome (specifically for tics) Use of clonidine either as an adjunct to traditional stimulant therapy or as a monotherapy in the treatment of attention deficit hyperactivity disorder (ADHD).Used to ease withdrawal symptoms associated with the long-term use of narcotics, alcohol, and nicotine (smoking). Alleviate opioid withdrawal symptoms by reducing the sympathetic nervous system response such as tachycardia and hypertensionUsed for migraine headaches and hot flashes associated with menopause.To treat psychiatric disorders including stress, sleep disorders, and hyperarousal caused by post-traumatic stress disorder, borderline personality disorder, and other anxiety disorders.(Refer: Rang and Dale's Clinical Pharmacology, 7th edition, pg no: 182, 597, 276- 277)